While giving the releasing incision in a three cornered flap during third molar surgical removal, which of these structures has chances of damage?
1. Facial artery
2. Buccal artery
3. Mental nerve
4. Facial lymph node

Correct answer: 2. Buccal artery

Explanation: The buccal artery is sometimes encountered when giving the releasing incision, which may cause bleeding and problems during early portions of the surgical procedure.